Mechanism of actions of montelukast is:
1. Competitive antagonist of leukotriene receptors
2. Inhibits alpha receptor
3. Beta receptor agonist
4. Non-competitive inhibitor of leukotriene synthesis

Correct answer: 1. Competitive antagonist of leukotriene receptors